Tyson's glands are:
1. Apocrine glands
2. Holocrine gland
3. Eccrine gland
4. Endocrine gland

Correct answer: 2. Holocrine gland

Explanation: Ans. B Holocrine glandRef: Netter's Essential Histology, 2nd ed. pg. 259* Tyson glands are located on external surface of prepuce and are holocrine glands.* Holocrine glands are characterized by disentigration of entire cell which discharges its secretions.* The holocrine glands are found everywhere except palms and soles.* Sebaceous glands are usually associated with hair follicles except in following locations# Eyelids: Glands of zeis and meibomian glands# Nipple and areola: Montgomery tubercle# Tyson glands: Prepuce